A 65-year-old male diagnosed by biopsy a case of squamous cell carcinoma of lung, has very high serum calcium levels. Probable cause is?
1. Parathyroid hormone
2. Parathyroid hormone-related peptide
3. Calcitonin
4. Calcitonin-related peptide

Correct answer: 2. Parathyroid hormone-related peptide

Explanation: Paraneoplastic syndromes The most important mechanism is the synthesis of a parathyroid hormone-related protein (PTHrP) by tumor cells (Commonly in Squamous cell carcinoma) leading to Hypercalcaemia.